All of the following are analytical epidemiological studies except-
1. Cohort study
2. Case - control study
3. Ecological study
4. Field trial

Correct answer: 4. Field trial

Explanation: Analytical studies include: Ecological or correlational-with populations as a unit of study Cross-sectional or prevalence-with individuals as a unit of study Case-control or case reference-with individual as a unit of study Cohort or followup-with individual as a unit of study (refer pg no:62 park 23rd edition)